Investigation of choice in a pregnant lady at 16 weeks of pregnancy with past H/0 delivering a baby with Downs syndrome:
1. Triple screen test
2. Amniocentesis
3. Chorionic villous sampling
4. USG

Correct answer: 2. Amniocentesis

Explanation: Dual marker and Triple marker tests are screening tests and since the patient here already has a past history of Downs syndrome fetus, she is at an increased risk of having an aneuploid fetus again, so it is advisable to undergo a diagnostic procedure rather than a screening test. Fetal chromosomes can be assessed only on amniocentesis and chorionic villous sampling But CVS is best done between 10 to 13 weeks of gestation and amniocentesis is best done between 16 to 18 weeks of pregnancy